Which of the following statements is not true of McBurney's incision?
1. Most suitable if the diagnosis of appendicitis is definite
2. If it is converted into a muscle cutting incision it is called Rutherford Morison's incision
3. Inguinal hernia is a sequel of the incision
4. The incision can be extended upwards or downwards

Correct answer: 4. The incision can be extended upwards or downwards

Explanation: In McBurney's incision, incision is extended upwards and laterally, not downwards.